Which one of the following is the major determinant of plasma osmolality
1. Serum sodium
2. Serum potassium
3. Blood glucose
4. Blood urea nitrogen

Correct answer: 1. Serum sodium

Explanation: Ans. is 'a' i.e., Serum sodium